All the following drugs act by blocking AMPA receptors of glutamate except
1. Felbamate
2. Perampanel
3. Phenobarbitone
4. Topiramate

Correct answer: 1. Felbamate

Explanation: Felbamate acts on NMDA receptors of glutamate. Perampanil is a new class of drug acting on AMPA receptors,Phenobarbitone is also known to block these receptors. Ref: HL Sharma 3rd ed.Pg 527.